Which structure lies in the intersigmoid recess -
1. Left Ureter
2. Left Ureter and left common iliac artery
3. Left Ureter and left common iliac vein
4. Left Ureter, left common iliac artery and left common iliac vein

Correct answer: 1. Left Ureter

Explanation: Left ureter crossing the bifurcation of left common iliac artery lies behind intersigmoid recess, which is a surgical guide for locating left ureter.